Which of the following statement is false about drugs used in rheumatoid arthritis?
1. Tofacitinib inhibits JAK1 and JAK3
2. Tocilizumab inhibits IL-6
3. Tofactinib is given intravenously
4. Tocilizumab is given by intravenous and subcutaneous route

Correct answer: 3. Tofactinib is given intravenously

Explanation: Drug ending with inib - JAK inhibitor and given orally.- Tofacitinib- Beracitinib Drug ending with Mab: - Monoclonal antibody and IL-6 inhibitor.- Tocilizumab- SarilumabSix : IL-6A-ArthritisR-RheumatoidI - InterleukinL - InterleukinUMAB: Monoclonal Antibody.All above mentioned drugs are used for Rheumatoid arthritis. Tocilizumab: is also use for cytokine release syndrome.